Posterior relations of the head of the pancreas include all of the following, except?
1. First part of the duodenum
2. Common bile duct
3. Inferior vena cava
4. Aorta

Correct answer: 1. First part of the duodenum

Explanation: The posterior relations of the head of the pancreas include the common bile duct, inferior vena cava and the right and left renal veins terminating into it. The first part of the duodenum is an anterior relation of the head of the pancreas.